All of the following statements about Renal physiology are true, Except
1. Distal tubule always receives hypoosmotic solution
2. The kidneys receive 5% of the cardiac output
3. GFR is controlled by resistance in afferent and efferent arterioles
4. The Glomerulus receives capillaries from the afferent arteriole

Correct answer: 2. The kidneys receive 5% of the cardiac output

Explanation: Distal tubule receives fluid from the thick ascending limb of the loop of Henle, which always contains hypotonic fluid.
GFR is affected by glomerular capillary hydrostatic pressure which in turn is affected by arterial pressure, afferent and efferent arteriolar resistance.
Capillaries arising from afferent arteriole form the glomerulus.
Renal blood flow- 1.1-1.3L/min (22-25% of cardiac output)